In sensorineural hearing loss, weber's test is lateralized to
1. Normal ear
2. Defective ear
3. Not lateralized
4. May alternate

Correct answer: 1. Normal ear

Explanation: In Sendeafness deafness: Lateralised to better ear. In conductive deafness: Lateralised to worse ear. Ref: Dhingra; 6th Edition; pg no 22